Not under millennium development goals?
1. Reduction of cardiovascular health hazards
2. Eradication of extreme poverty
3. Global partnership for development
4. Sustainability of the environment

Correct answer: 1. Reduction of cardiovascular health hazards

Explanation: ANSWER: (A) Reduction of cardiovascular health hazardsREF: park 20th ed p. 795Health related millennium development goals in IndiaEradicate extreme poverty and hungerReduce child mortalityImprove maternal healthCombat HIV/AIDS , malaria and other diseasesEnsure environmental sustainabilityDevelop global partnership for development